Propanolol can be used in all of the following conditions EXCEPT:
1. Thyrotoxicosis
2. Variant angina
3. Migraine
4. Hypertention

Correct answer: 2. Variant angina

Explanation: ref;KD Tripathi 7the edition pharmacology (page no;147,149) Propranolol exacerbates variant (Prinzmetal' s) angina due to unopposed a mediated coronary constriction. uses of propranolol are Hypertension, Angina pectoris, Migraine, thyrotoxicosis, Pheochromocytoma, Glaucoma, MI, Cardiac Arrhythmias,